Hutchinson's pupil is characterised by
1. Initial ipsilateral miosis, later followed by dilatation
2. Initial ipsilateral miosis and contralateral dilatation
3. Ipsilateral mydriasis and contralateral miosis
4. None of the above

Correct answer: 1. Initial ipsilateral miosis, later followed by dilatation

Explanation: Ans. Initial ipsilateral miosis, later followed by dilatation